Causes ectopia lentis are all EXCEPT:
1. Homocystinuria
2. Marfan's syndrome
3. Cogon Reese syndrome
4. Sulphite oxidase deficiency

Correct answer: 3. Cogon Reese syndrome

Explanation: ANSWER: (C) Cogon Reese syndromeREF: Yanoff & Ducker- ophthalmology 2nd edition page 270Ectopia Lends:A sublimation of the lens is described as a partial displacement, whereas a complete displacement is termed dislocation of the lens.The causes of ectopia lends may be familial or secondary to eye disease and trauma.Traumatic ectopia is by far the most common cause of ectopia lends and is usually associated with signs of trauma to other ocular structures, such as angle recession.Ectopia maybe secondary to a weakening of the zonule by uveitis orto its degeneration associated with hypermature cataracts, pseudoexfoliation of the lens capsule, and ciliary body tumorsDeficient development of the zonule causes ectopia lends in association with other systemic conditions such as Marfans syndrome, Weill-Marchesani syndrome, Homocystinuria, sulphite oxidase deficiency, and hyperlysinemia.